What is the color coding of bag in hospitals to dispose off human anatomical wastes such as body parts:
1. Yellow
2. Black
3. Red
4. Blue

Correct answer: 1. Yellow